A 32-year-old woman is admitted to the emergency department after an automobile collision. Radiographic examination reveals multiple fractures of the humerus. Flexion and supination of the forearm are severely weakened. She also has loss of sensation on the lateral surface of the forearm. Which of the following nerves has most likely been injured?
1. Radial
2. Musculocutaneous
3. Median
4. Lateral cord of brachial plexus

Correct answer: 2. Musculocutaneous

Explanation: The musculocutaneous nerve supplies the biceps brachii and brachialis, which are the flexors of the forearm at the elbow. The musculocutaneous nerve continues as the lateral antebrachial cutaneous nerve, which supplies sensation to the lateral side of the forearm (with the forearm in the anatomic position). The biceps brachii is the most powerful supinator muscle. Injury to this nerve would result in weakness of supination and forearm flexion and lateral forearm sensory loss. Injury to the radial nerve would result in weakened extension and a characteristic wrist drop. Injury to the median nerve causes paralysis of flexor digitorum superficialis and other flexors in the forearm and results in a characteristic flattening of the thenar eminence. The lateral cord of the brachial plexus gives origin both to the musculocutaneous and lateral pectoral nerves. There is no indication of pectoral paralysis or weakness. Injury to the lateral cord can result in weakened flexion and supination in the forearm, and weakened adduction and medial rotation of the arm. The lateral cutaneous nerve of the forearm is a branch of the musculocutaneous nerve and does not supply any motor innervation. Injury to the musculocutaneous nerve alone is unusual but can follow penetrating injuries.